Best diagnosis of pancreatic cancer (head) is by:
1. Ultrasound
2. ERCP
3. CT scan
4. Angiography

Correct answer: 3. CT scan

Explanation: Ans. CT scan